Muscle most commonly affected by congenital absence is -
1. Pectoralis major
2. Semimembranosus
3. Teres minor
4. Gluteus maximus

Correct answer: 1. Pectoralis major

Explanation: Pectoralis major and minor muscles are the most common congenitally absent muscles in human.